Acquired extra - cranial infection that causes Aqueductal Stenosis is -
1. Bacterial endocarditis
2. Mumps
3. Measles
4. Staphylococcal septicemia

Correct answer: 2. Mumps

Explanation: Ans. is 'b' i.e., Mumps Aqueductal stenosis ? Causes of acquired aqueductal stenosis o Neonatal meningitis o Intrauterine viral infections o Subarachnoid hemorrhage o Mumps meningoencephalitis